In Video assisted thoracoscopic surgery for better vision, the space in the operative field is created by :
1. Self retaining retractor
2. CO2 insufflation
3. Collapse of ipsilateral lung
4. Rib spacing

Correct answer: 3. Collapse of ipsilateral lung

Explanation: Video Assisted Thoracoscopic Surgery (VATS) In contrast to most laparoscopic techniques, the working space for VATS is created not by adding an insufflating gas but rather by removing air from the ipsilateral lung parenchyma causing of the ipsilateral lung. Used for pulmonary decortication, pleurodesis, and lung or pleural biospies. Ref: Sabiston 20th edition Pgno: 355